The axillary nerve supplies
1. Infraspinatus
2. Teres minor
3. Trapezius
4. Pectoralis major

Correct answer: 2. Teres minor

Explanation: Teres minor is supplied by the posterior division of axillary nerve which is characterized by the presence of a pseudoganglion. Posterior division of axillary nerve also supplies the posterior part of deltoid muscle. B D Chaurasia 7th edition Page no : 180